Group B fibers are present in:
1. Intrafusal fibers of the muscle spindle
2. Golgi tendon apparatus
3. Autonomic preganglionic fibers
4. Spinothalamic tracts

Correct answer: 3. Autonomic preganglionic fibers